Alkalinization of urine is required to treat toxicity of all except:
1. Salicylates
2. Barbiturates
3. Amphetamine
4. Methotrexate

Correct answer: 3. Amphetamine

Explanation: Changes in urinary pH affect tubular reabsorption of drugs that are partially ionized - * Weak bases are ionize more and are less reabsorbed in acidic urine.* Weak acids ionize more and are less reabsorbed in alkaline urine. Urine is alkalinized in barbiturate, methotrexate and salicylate poisoning.